In Browne's classification of placenta previa, the placenta covers the internal os when closed but not when fully dilated is:
1. Type 1
2. Type 2
3. Type 3
4. Type 4

Correct answer: 3. Type 3

Explanation: Browne's classification for placenta previa: Type 1 lateral Placenta dipping into the lower segment but reached upto the os Type 2 marginal Placenta edge reached the internal os Type 3 The placenta covers the internal os when closed but not when fully dilated Type 4 The placenta covers the internal os even fully dilated